According to AJCC 8th edition, staging of 2 cm size pancreatic cancer if it involves portal vein in:
1. T1
2. T2
3. T3
4. T4

Correct answer: 1. T1

Explanation: 8th AJCC(2017) TNM Classification of Pancreatic cancer Tis Carcinoma in situ T1 Tumor limited to pancreas upto 2 cm in greatest dimension T1a : Tumor <= 0.5 cm in greatest dimension T1B: Tumor > 0.5 cm but <= 1 cm in greatest dimension T1c : Tumor > 1 cm but <= 2 cm in greatest dimension T2 Tumor limited to pancreas > 2-4 cm in greatest dimension T3 Tumor > 4 cm in greatest dimension T4 Tumor involves Coeliac axis, superior mesenteric artery and / or common hepatic artery N1 Metastasis in 1-2 regional LN N2 Metatasis in 4 or more regional LN M1 Distant metatasis Stage 0 Stage IA Stage IB Stage IIA Stage IIB Stage III Stage IV Tis N0 M0 T1 N0 M0 T2 N0 M0 T1-T3 N1 Mo T1-T3 N2 M0T4 AnyN M0 T1-T3 N2 M0T4 Any N M0 Any T AnyN M1 Involvement of veins does not change the staging. Size of 2cm pancreatic cancer is under T1 according to TNM staging.